At the end of 1 year of age, the number of carpal bones seen in the skiagram of the hand is -
1. Nil
2. 1
3. 2
4. 3

Correct answer: 3. 2

Explanation: Ans. is 'c' i.e., 2 Years No. of Carpal bones on x-ray 1 2 (Capitate appears in 2nd month and hamate in 3rd month) 2 2 3 3 (Triaquatral appears in 30th month) 4 4 (Lunate appears in 42nd month) 5 4 6 7 (Scaphoid, trapezium and trapezoid appear in 66"', 67th and 69th month respectively)